True about relations of renal artery and vein -
1. Left renal vein passes behind aorta
2. Renal artery passes in front of I VC
3. Right renal vein shorter than left renal vein
4. Renal artery is a branch of internal iliac artery

Correct answer: 3. Right renal vein shorter than left renal vein

Explanation: Ans. is 'c' i.e., Right renal vein shorter than left renal vein Renal vasculatureo Each kidney is supplied by renal artery {branch of abdominal aorta) and is drained by renal vein to IVC.o Renal artery Right renal artery is longer and passes behind JVC. Renal artery divides into : -Posterior division Supplies posterior segment.Anterior division Divides further into 4 branches to supply apical, upper anterior middle anterior and lower segments.o Renal vein Left renal vein is longer and passes in front of abdominal aorta, behind the origin of superior mesenteric artery. Therefore, it may be compressed in the narrow angle between the two arteries. Left renal vein also receives left inferior phrenic vein, left gonadal vein and left suprarenal (adrenal) vein. Each renal vein begins beneath the true capsule as stellate vein.